The investigation of choice for acute cholecystitis is –
1. USG
2. HIDA-Scan
3. CT-Scan
4. X-ray

Correct answer: 1. USG

Explanation: Investigation of choice for acute cholecystitis   → USG
Most accurate (best) method for diagnosis of acute cholecystitis → Radionuclide scan (DISIDA, PIPIDA, HIDA)